The most common malignant tumor of the eyelids is
1. Squamous cell carcinoma
2. Basal cell carcinoma
3. Melanoma
4. Adenocarcinoma

Correct answer: 2. Basal cell carcinoma

Explanation: B i.e. Basal cell carcinoma